Which of the following streptococcal antigen cross reacts with synovial fluid ?
1. Carbohydrate (group A)
2. Cell wall protein
3. Capsular hyaluronic acid
4. Peptidoglycan

Correct answer: 3. Capsular hyaluronic acid

Explanation: Ans. is 'c' i.e., Capsular hyaluronic acid